An infant present with bilateral white pupillary reflex. On slit lamp examination a zone of opacity is observed arround the fetal nucleus with spoke like radial opacities. The most likely diagnosis is-
1. Cataracta Centralis Pulverulenta
2. Lamellar cataract
3. Coronary cataract
4. Posterior polar cataract

Correct answer: 2. Lamellar cataract

Explanation: lamellar cataract - opacities in the foetal nucleus and which are small linear like spokes of a wheel towards the equator. Cataracta centralis pulverulenta - small rounded opacity lying exactly in the centre of the lens. Coronary cataract - opacities are often many hundreds in number and have a regular radial distribution in the periphery of lens encircling the central axis. posterior polar cataract - small circular circumscribed opacity involving the posterior pole.